Toynbee's muscle is -
1. Stapedius
2. Tensor tympani
3. Scalenus minimus
4. Levator ani

Correct answer: 2. Tensor tympani

Explanation: B i.e. Tensor tympani